Nikolsky's sign is positive in following conditions except:
1. Pemphigus vulgaris
2. Toxic epidermal necrolysis
3. Epidermolysis bullosa
4. Pemphigoid

Correct answer: 4. Pemphigoid

Explanation: Nikolsky's Sign is seen in: Pemphigus (vulgaris and foliaceous). Porphyria Sjogren's syndrome SSSS TEN (Lyell's disease) Epidermolysis bullosa congenita It occurs due to separation of epidermis from underlying dermis due to intraepidermal cleaving